Heavy smoker for elective hernia repair, smoking should be stopped before how much period?
1. 4 days
2. 10 days
3. 3-4 weeks
4. 6-8 weeks

Correct answer: 4. 6-8 weeks

Explanation: Ans. is 'd' i.e., 6-8 weeksRef: Postgraduate anaesthesia p. 786'Limited prospective data suggest that cessation for at least 6-8 weeks preoperative is necessary to decrease the incidence of pulmonary complication."